Culture media of leptospirosis:
1. Korthof
2. Perkin
3. Tinsdale
4. Bakers

Correct answer: 1. Korthof

Explanation: Korthof